All of the following muscles are involved in inspiration except
1. Scalene
2. Internal intercostal muscle
3. Diaphragm
4. Stermocleidomastoid

Correct answer: 2. Internal intercostal muscle

Explanation: Internal intercostal muscle is involved in expiration.
External intercostal muscle is involved in inspiration.